Accumulation! of following causes fatty liver -
1. Cholesterol
2. Triglycerides
3. Phospholipids
4. Cholesterol esters

Correct answer: 2. Triglycerides

Explanation: Ans. is 'b' i.e., Triglycerides Fattv livero Fatty liver is the excessive accumulation of fat primarily neutral fat, i.e. triglyceride (triacylglycerol) (PGI93) in the liver. Fat (triglycerides) is stored in adipose tissue. Liver is not a storage organ. It contains about 5% fat. In pathological conditions, this may go up to 25-30% and is known as fatty liver or fatty infiltration of liver. Fatty liver may be due to two main reasons -Increased production (over production) of triacylglycerolso It may be due toi) High free fatty acid influx from adipose tissue, e.g. Starvation, diabetes mellitesii) High fat diet:- due to increased supply of fatty acid from diet, capacity of liver for lipoprotein formation is outweighed.iii) Alcoholism:- Due to increased hepatic TGs synthesis.Impairment in exportation of triacylglycerol in YrLDLo Liver incorporates TGs in VLDLs which are then exported to blood. IfVLDL synthesis is impaired, exportation of TGs is impaired and they accumulate in liver causing fatty liver. Causes are:-Inhibition of protein (apoprotein synthesis)Block in the synthesis ofphospholipids that are found in VLDL A failure in the formation mechanism of lipoprotein itselffrom lipid and apoprotein.